Inanimate objects of transmission is regarded as
1. Vector
2. Fomites
3. Vehicle
4. Droplet

Correct answer: 2. Fomites

Explanation: Ans) b (Fomite) Ref park 20th ed pg 94Fomites are inanimate articles or substances other than water or food contaminated by the infectious discharges from a patient and capable of harbouring and transferring the infectious agent to ahealthy person.Fomites include linen, handkerchiefs, towels etc.. The fomites play an important role in indirect infection.Diseases transmitted by fomites include diphtheria, typhoid fever, bacillary dysentery, Hepatitis A, eye and skin infections.Vector is defined as an arthropod or any living carrier that transports an infectious agent to a susceptible individual.Vehicle borne transmission implies transmission of the infectious agent through the agency of water, food, ice, blood, serum, plasma, or other biological products such as tissue and organs.